A patient present with frontal abscess. Foul smelling pus is aspirated. Pus shows red fluorescence on ultraviolet examination.The most likely organism causing the frontal abscess is -
1. Bacteroides
2. Peptostreptococcus
3. Pseudomonas
4. Acanthamoeba

Correct answer: 1. Bacteroides